A lady presented with stage IB Ca cervix. It was found that Ca extends to lower part, of body of uterus and upper part of cervix. Next step of management will be:
1. Chemotherapy
2. Surgery followed by chemotherapy
3. Surgery
4. Surgery followed by radiotherapy

Correct answer: 3. Surgery

Explanation: Stage IB lesions are defined as those extending past the limits of microinvasion yet still confined to the cervix. This stage is sub categorized either as IB1 if tumors measure 4 cm or as IB2 if they measure >4 cm. These cancers can be managed with either surgery or chemoradiation. Radical hysterectomy is performed for stage IA2, stage IB1, occasionally stage IB2 lesions, for stage IIA1 lesions. Ref: Hoffman B.L., Schorge J.O., Schaffer J.I., Halvorson L.M., Bradshaw K.D., Cunningham F.G., Calver L.E. (2012). Chapter 30. Cervical Cancer. In B.L. Hoffman, J.O. Schorge, J.I. Schaffer, L.M. Halvorson, K.D. Bradshaw, F.G. Cunningham, L.E. Calver (Eds), Williams Gynecology, 2e.